Specific marker for intestinal inflammation
1. C-reactive protein
2. Fecal lactoferrin
3. Erythrocyte sedimentation rate
4. Leukocytosis

Correct answer: 2. Fecal lactoferrin

Explanation: Fecal lactoferrin is a highly sensitive and specific marker for detecting intestinal inflammation. Fecal calprotectin levels correlate well with histologic inflammation, predict relapses, and detect pouchitis. Both fecal lactoferrin and calprotectin are becoming an integral part of IBD management and are used frequently to rule out active inflammationRef: Harrison 19e pg: 1952